Which of the following statements about cefepime is true?
1. It is a 4th generation cephalosporin
2. Once a day dosing is given
3. It is not active against Pseudomonas
4. It is a prodrug

Correct answer: 1. It is a 4th generation cephalosporin

Explanation: Ans. (A) It is a 4th generation cephalosporin.(Ref: Goodman Gilman 12th/e p1498, KDT 8/e p779)Cefepime is 4th generation cephalosporin with good activity against PseudomonasIt is given 8-12 hourly